In bursting of skull due to firearm injury, a large portion of the brain may be thrown out of the bursting skull and found relatively intact. This is called as
1. Kronlein shot
2. Back spatter
3. Billiard ball effect
4. Balling of shot

Correct answer: 1. Kronlein shot

Explanation: During bursting of skull due to firearm injury, a large portion of the brain may be thrown out of the bursting skull and found relatively intact. This is called as kronlein shot. - is a very rare injury of the skull caused by a high-velocity bullet in close range. There is bursting of the skull and laceration of the dura mater with complete evisceration of the brain. The brain will get shattered. Back spatter: Once the bullet is fired, spattering of blood back into the barrel. 'Billiard Ball' Ricochet Effect: It occurs after the shotgun pallets strike an intermediate object like doors, etc. When a mass of shotgun pellets enters tissue, the first pellets which penetrate are slowed and struck from behind by the following pellets which can cause them to scatter through the tissue much like a cluster of billiard balls struck by the cue ball. On X ray, the dispersal of pellets may suggest a distant shot,but actually the weapon was fired from close range.